An agent that activates natural killer cells and is useful in renal cell carcinoma is:
1. Aldesleukin
2. Etanercept
3. Leflunomide
4. Thalidomide

Correct answer: 1. Aldesleukin

Explanation: (Ref: Katzung 10/e p906) Recombinant IL-2 (aldesleukin) is used for the treatment of malignatn melanoma and renal cell carcinoma.